Fetal alcohol syndrome is characterized by
1. Large palpebral fissures
2. Thin vermillion border
3. Macrosomia
4. Hyperplastic philtrum

Correct answer: 2. Thin vermillion border

Explanation: Fetal alcohol syndrome - dysmorphic facies

Small palpebral fissure
Thin vermillion border
Microsomia
Hypoplastic phltrum.